HBV and HDV false is -
1. Both can infect simultaneously
2. HDV causes more serious infection d/t superinfection
3. HDV cannot infect in absence of HBV
4. DNA viruses

Correct answer: 4. DNA viruses

Explanation: HBV is a DNA virus& HDV is an RNA virus.HDV&HBV is co-infection HIV causes more serious infection due to superinfection REF:MICROBIOLOGY ANANTHA NARAYANAN NINTH EDITION PAGE.549